In a study of 2000 population, mean value of hemoglobin is 13.5 gm, which follows normal distribution curve. Percentage of people having higher hemoglobin than 13.5 gm:
1. 5%
2. 25%
3. 50%
4. 75%

Correct answer: 3. 50%

Explanation: Ans. c. 50%In a population with normal distribution mean, median and mode are equal. So, here median is also 13.5, which divides the population into two equal halves. So, 50% will be on either side of 13.5. Hence, percentage of people having higher hemoglobin than 13.5 gm is 50.DistributionCentral TendencyNormal (Gaussian) DistributionMean = Median = ModeQ=13.5* Median divides the population into two equal halves (50% will be on either side of 13.5).* Percentage of people having higher hemoglobin than 13.5 gm is 50